Color of hemosiderin is:
1. Brown
2. Green
3. Yellow
4. Red

Correct answer: 1. Brown

Explanation: Ans. Brown